Ideal temperature for DPT storage ?
1. Room temperature
2. 4 to 8degC
3. 0 to - 20degC
4. None

Correct answer: 2. 4 to 8degC

Explanation: Ans. is 'b' i.e., 4 to 8degC o Storage --> DPT / DT vaccine should not be frozen, they should be stored in a refrigerator between 4 to 8degC. o Optimum age EPI has recommended that DPT vaccine can safely and effectively administered as early as 6 weeks after birth. o Number of doses Three doses are considered to be optimal for primary immunization. o Interval between doses --> The current recommendation is to allow an interval of 4 weeks between 3 doses, with a booster injection at 11/2 to 2 years, followed by another booster (DT only) at the age of 5-6 years. Dose Age DPTJ 6 weeks of age DPT2 10 weeks of age DPT3 14 weeks of age DPT300,, 16-24 months of age DT 5 years of age Booster o Mode and site of administration ---> IM at upper & outer quadrant of gluteal region. Also know o Since the severity of pertussis infection decreases with age the pertussis component in DPT vaccine is not usually recommended after the age of 6 years. o Therefore, children over the age of 5 years who have not received DPT, need only 2 doses of DT vaccine 4 weeks apart, with a booster dose 6 months to 1 year later. Those children who received the primary course of DPT earlier, should receive only DT as booster at 5-6 years or at school entry. o For immunizing children over 12 years of age and adults, the preparation of choice is DT --> 2 doses at an interval of 4 to 6 weeks, followed by a booster 6 to 12 months after the second dose.